Cut-off value for CA-125 is :
1. 15 units/ml
2. 25 units/ml
3. 35 units/ml
4. 45 units/ml

Correct answer: 3. 35 units/ml

Explanation: CA-125 tumour marker is raised above 35 IU/mL Refernce: Shaw's Textbook of Gynaecology 16th edition page no 510